A 3 year old child presented to OPD with the symptoms of influenza. Aspirin is contraindicated in this patient because of increased risk of :
1. Gastric bleeding
2. Thrombocytopenia
3. Fanconi syndrome
4. Reye's syndrome

Correct answer: 4. Reye's syndrome